Which of the following does not form filtration barrier in nephrons:
1. Podocytes
2. Endothelial cells
3. Mesangium
4. Basement membrane (basal lamina)

Correct answer: 3. Mesangium

Explanation: Ans. C. Mesangiuma. Two cellular layers separate the blood from glomerular filtrate in Bowman's capsule, Capillaryb. endothelium and specialized endothelium.c. These two layers are separated by aBASAL LAMINA.d. Stellate cells called mesangial cells send their processes between endothelium and basal lamina.e. Cells of epithelium are called podocytes and they send numerous pseudopodia which interdigitate andf. form slits along the capillary walls podocytes